Commonest indication for liver transplantation in infant is -
1. Alcoholic cirrhosis
2. Biliary cirrhosis
3. Primary hemochromatosis
4. Biliary atresia

Correct answer: 4. Biliary atresia

Explanation: Most common indication for liver transplantation
in children → Biliary atresia
in adults → Cirrhosis